Which of the following is the most common congenital viral infection ?
1. Rubella
2. Cytomegalovirus
3. Herpes simplex
4. REV

Correct answer: 2. Cytomegalovirus